Maylard incision involves a trasverse cut through which of the following muscles?
1. Rectus abdominis
2. Serratus anterior
3. Pectoralis major
4. Psoas major

Correct answer: 1. Rectus abdominis

Explanation: Ans. is 'a' i.e., Rectus abdominis Maylard incision:* Mayland Incision is a surgical incision in which a transverse cut is made on rectus abdominis muscle to allow wider access to the pelvic cavity. It is also called Mackenrodt incision.* For gynaecological surgery, the skin incision is made 5-8 cm above the pubic symphysis. The site of skin incision is above and parallel to traditional Pfannenstiel incision.* The rectus fascia and muscle are cut transversely and the incision is extended as far laterally as needed.* The anterior rectus sheath is not separated from the muscle to facilitate easy closure at the end of the surgical procedure.* The inferior epigastric vessels which span across more than half of the rectus muscle's width are identified and ligated.* In patients with peripheral arterial disease, ligation of inferior epigastric vessels may lead to distal ischemia.